In glomerular disease, which of the following is mainly excreted in Urine
1. Albumin
2. Globulin
3. Light chain
4. Heavy chain

Correct answer: 1. Albumin

Explanation: Normally, the glomerular filtration system is extraordinarily permeable to water and small solutes and almost completely impermeable to molecules of the size and molecular charge of albumin (a 70,000-kDa protein).
Robbins book of pathology.